Which of the following is required for the conversion of 25-hydroxy-cholecalciferol to calcitriol?
1. 25-hydroxylase
2. 1-hydroxylase
3. UV light
4. 1,25-hydroxylase

Correct answer: 2. 1-hydroxylase